Which anaesthetic agent increases intracranial tension among the following
1. Thiopentone
2. Propofol
3. Lignocaine
4. Sevoflurane

Correct answer: 4. Sevoflurane

Explanation: All inhalational anaesthetics directly act on cerebral blood vessels→vasodilatation→increase cerebral blood flow→ increase intracranial tension